Y axis is used to analyse
1. Maxillary growth
2. Mandibular growth
3. Both maxillary and mandibular growth
4. To design appliance

Correct answer: 2. Mandibular growth